The reaction: succinyl CoA + acetoacetate and acetoacetyl CoA + succinate occurs in all of the following Except
1. Brain
2. Striated muscle
3. Liver
4. Cardiac muscle

Correct answer: 3. Liver

Explanation: Thiophorase (acetoacetate - succinyl CO A, Co A transferase) is the enzyme responsible for the transfer of Co A to acetoacetate converting it into acetoacetyl Co A which is responsible for utilization of ketone bodies. Liver cells do not have enzyme thiophorase and so they can not utilize ketone bodies.